Latanoprost used topically in glaucoma primarily acts by
1. Decreasing aqueous humor forma on
2. Increasing uveo scleral outflow
3. Releasing papillary block
4. Increasing trabecular outflow

Correct answer: 2. Increasing uveo scleral outflow

Explanation: Latanoprost - (0.0005%) synthetic drug which is an ester analogue of prostaglandin F2 alpha , It is only drug which exclusively acts by increasing uveo scleral outflow and by causing reduction in episcleral venous pressure. Side effects - conjunctival hyperaemia, foreign body sensation and increased pigmentation of the iris.